Which of the following is most useful for reversing severe ergot induced vasospasm?
1. Ergotamine
2. Methysergide
3. Nitroprusside
4. Phenoxybenzamine

Correct answer: 3. Nitroprusside

Explanation: Nitroprusside is a mixed dilator and is highly effective agent against ergot induced vasospasm. It is also the drug of choice for most of the hypertensive emergencies.